Which of the following is NOT true about penicillins ?
1. Penicillin V is absorbed orally
2. Benzathine penicillin is short acting penicillin
3. Cloxacillin is β–lactamase and acid resistant
4. Ampicillin is not resistant to β–lactamases

Correct answer: 2. Benzathine penicillin is short acting penicillin